Which statement is wrong regarding Hepatitis B?
1. It is due to RNA virus
2. Blood is the main source of infection
3. Chronicity is present
4. It may turn into hepatocellular carcinoma

Correct answer: 1. It is due to RNA virus

Explanation: Hepatitis B It is the only hepadna virus causing infection in humans It comprises capsule and a core containing DNA and DNA polymerase enzymes. Blood is the main source of infection Chronic HBV infection is marked by the presence of HBsAg and Anti HBc IgG in the blood.